Ectopic testis is found in all location except -a) Lumbarb) Perinealc) Infra abdominald) Inguinal
1. a
2. bc
3. ad
4. ac

Correct answer: 4. ac